Goals of National Population Policy are all/except:
1. Decrease IMR to below 30 per 1000 live births
2. Reduce MMR to below 100 per 100,000 live births
3. Achieve 100 per cent registration of births. deaths, marriage and pregnancy
4. Bring down TFR to replacement level by 2015

Correct answer: 4. Bring down TFR to replacement level by 2015

Explanation: Bring down TFR to replacement level by 2015 [Ref: Park 20/e, p 423-424 (19/e p391); Mayll The objective of NPP 2000 is to bring the TFR (Total Fertility Rate) to replacement level by 2010.